What is the investigation for small intestine abnormalities except -
1. Enteroclysis
2. Radionucleide
3. CT enteroclysis
4. USG enteroclysis

Correct answer: 4. USG enteroclysis

Explanation: Ans. is 'd' i.e. USG enteroclysis Enteroclysis (or small bowel enema) is a dedicated study of small bowel pathology wherein a contrast is injected directly through a tube into the distal duodenum, filling the small bowel loops. The opacified bowel loops can be imaged then using either X-rays (k/a Barium Enteroclysis), CT (CT enteroclysis) or MRI (MR enteroclysis) There is no such thing as USG enteroclysis. Other studies for small bowel pathologies are - Angiography - selective visceral angiography of the small intestine can be used to detect the site of obscure bleeding. Radionuclide studies - radionuclide scintigraphy can be used to investigate intestinal bleeding, for detecting Meckel's diverticulum (using "'technetium pertechnetate) and in assessment of inflammatory bowel disease.